Which is not seen in iron deficiency anemia?
1. Hypersegmented neutrophils
2. Microcytosis precedes hypochromia
3. MCHC < 50%
4. Commonest cause of anemia in India

Correct answer: 1. Hypersegmented neutrophils

Explanation: a. Hypersegmented neutrophils(Ref: Nelson's 20/e p 2323-2325, Ghai 8/e p 334-335)Hypersegmented neutrophils are seen in megaloblastic anemia.